Bruxism should be treated by night guard using:
1. Hawley's retainer
2. Occlusal splint
3. Double occlusal splint
4. All of the above

Correct answer: 2. Occlusal splint